All the statements are seen in fragile X syndrome except
1. Cardiac murmurs
2. Female preponderance
3. Autism
4. Intellectual disability

Correct answer: 2. Female preponderance